All are methods of regional anaesthesia except -
1. Topical anaesthesia
2. Bier's block
3. Nerve block
4. Total intravenous anaesthesia

Correct answer: 4. Total intravenous anaesthesia

Explanation: Ans. is 'd' i.e., Total intravenous anaesthesia Regional anaesthesia (Local anaesthesia)o Regional anaesthesia means loss of sensation in body part without the loss of consciousness or the impairment of central control of vital function.o Methods are:1. Topical anaesthesia (surface anaesthesia)2. Infiltration anaesthesia3. Intravenous regional anaesthesia (Bier's block)4. Conduction block (either field block or nerve block).5. Spinal anaesthesia6. Epidural anaesthesia